Drug used in treatment of migraine ?
1. 5HT1 agonist
2. 5HT1 antagonist
3. Dl agonist
4. D1 antagonist

Correct answer: 1. 5HT1 agonist

Explanation: Ans. is 'a' i.e., 5HT1 agonist